The fluid mosaic model of membrane structure was proposed by
1. Watson and Crick
2. Edward Angle
3. G.V. Black
4. Singer and Nicolson

Correct answer: 4. Singer and Nicolson